Most common site of peptic ulcer in duodenum -
1. 1st part
2. 2"d part
3. 3rd part
4. 4th part

Correct answer: 1. 1st part

Explanation: Ans. is 'a' i.e., 1st partPeptic ulcero Ulcers are defined histologically as a breach in the mucosa of the alimentry tract that extends through themucularis mucasea into the submucosa or deep.o Peptic ulcers are chronic , most often solitary lesions that occur in any protion of the gastrointestinal tract exposedto the aggressive action of acid / peptic juice .Peptic ulcers located in the following sits, in order of decreasing frequency : Duodenum, 1' poionStomach ,usally antrumAt the gastro - esophageal junction in the setting of gastroesphageal reflux or Barrett's esophagus.Within the margins of a gastrojejunostomy.In the duodenum, stomach or jeunum of patients with Zollinger -Ellison Syndrome.Within or adiacent to Meckels diverticulum that contains ectopic gastric mucosa.